Which among the following statements is wrong ?
1. Light chains are synthesised in slight excess normally in plasma cells
2. Qualitative assessment of M component can be done by electrophoresis
3. M components are detected in chronic myeloid leukaemia
4. In 20% myelomas, only light chains are produced

Correct answer: 2. Qualitative assessment of M component can be done by electrophoresis

Explanation: Qualitative assessment of M component is done by immunoelectrophoresis. Electrophoresis is used for quantitative assessment of M component. M component can also be detected in other lymphoid malignancies, CML, Ca breast, colon cancer , non neoplastic condition like cirrhosis, sarcoidosis, rheumatoid arthritis, myasthenia gravis.